Main cause of diarrhea in children of developing country is
1. EHEC
2. ETEC
3. EAEC
4. EITC

Correct answer: 2. ETEC

Explanation: Enterotoxigenic E.coli: diarrhea caused by ETEC is endemic in developing countries in the tropics. Common in all age groups. Traveler's diarrhea adheres to the intestinal mucosa which is mediated by colonization factor antigens. Produces enterotoxin which may be heat liable or heat stable. Reference: Textbook of Microbiology; Anathanarayan and paniker's; 10th edition; Page no: 285